Hyperparathyroidism (in 80% cases), pancreatic islet cell tumors, and pituitary adenomas are seen in:
1. Men 1 (Wermer)
2. Men 2A (Sipple)
3. Men 2B
4. All of the above

Correct answer: 1. Men 1 (Wermer)